Which reaction uses propionic acid?
1. Glycolysis
2. Glyconeogenesis
3. Glycogenolysis
4. None

Correct answer: 2. Glyconeogenesis

Explanation: The major non-carbohydrate precursors of glucose are lactate, glucogenic amino acids (all except leucine), glycerol and propionyl CoARef: DM Vasudevan, 7th edition, page no: 117